Most common mechanism of transfer resistance in Staphylococcus aureus is:
1. Conjugation
2. Transduction
3. Transformation
4. Mutation

Correct answer: 2. Transduction

Explanation: Ans.is. b i.e.' Transduction